Digastric muscles are the following except
1. Occipitofrontalis
2. Sternocleidomastoid
3. Omohyoid
4. Muscular fibers in the ligament of treitz

Correct answer: 2. Sternocleidomastoid

Explanation: Sternocleidomastoid is a muscle with two heads and one belly like the biceps brachiii Digastric muscles have two bellies Occipitofrontalis muscle has two bellies: Occipital belly and Frontal belly Omohyoid superior and inferior belly Ligament of Treitz is a digastric muscle with a skeletal muscle belly, which arises from the left crus of diaphragm and a smooth muscle belly which arises from the duodeno - jejunal junction. It has an intermediate tendon attaching to the connective tissue around the celiac trunk of aorta. Ref: Gray's39e/p185-210